A 47-year-old HIV-positive man is brought to the emergency room because of weakness. The patient has HIV nephropathy and adrenal insufficiency. He takes trimethoprim-sulfamethoxazole for PCP prophylaxis and is on triple-agent antiretroviral treatment. He was recently started on spironolactone for ascites due to alcoholic liver disease. Physical examination reveals normal vital signs, but his muscles are diffusely weak. Frequent extrasystoles are noted. He has mild ascites and 1+ peripheral edema. Laboratory studies show a serum creatinine of 2.5 with a potassium value of 7.3 mEq/L. ECG shows peaking of the T-waves and QRS widening to 0.14. What is the most important immediate treatment?
1. Sodium polystyrene sulfonate (Kayexalate)
2. Acute hemodialysis
3. IV normal saline
4. IV calcium gluconate

Correct answer: 4. IV calcium gluconate

Explanation: This patient has life-threatening hyperkalemia as suggested by the ECG changes in association with documented hyperkalemia. Death can occur within minutes as a result of ventricular fibrillation, and immediate treatment is mandatory. Intravenous calcium is given to combat the membrane effects of the hyperkalemia, and measures to shift, potassium acutely into the cells must be instituted as well. IV regular insulin 10 units and (unless the patient is already hyperglycemic) IV glucose (usually 25 g) can lower the serum potassium level by 0.5 to 1.0 mEq/L. Nebulized albuterol is often used and is probably more effective than IV sodium bicarbonate. It is crucial to remember that measures to promote potassium loss from the body (Kayexalate, furosemide, or dialysis), although important in the long run, take hours to work. These measures will not promptly counteract the membrane irritability of hyperkalemia. IV normal saline will not lower the serum potassium level.